True regarding japanese encephalitis is except ?
1. Man to man transmission is not reported
2. Culicine mosquito s zoophilic
3. Mortality is 80-90%
4. Cases show up of iceberg

Correct answer: 3. Mortality is 80-90%

Explanation: Ans. is 'c' i.e. Mortality is 80-90% Mortality is 20-40% (not 80-90%). About other options Man to man transmission is not seen. o Cases show tip of iceberg -> Ratio of overt disease to inapparent infection varies from 1 : 1000. o Culex is a zoophilic mosquito.